New born 7 days old with vomiting and dehydration clinical examination was normal except for hyperpigmentation of nipple. Electrolytes Na: 120 meq. K: 9 meq. mostlikelydiagnosis -
1. Primary hypothyroidism
2. Cong, adrenal hyperplasia
3. Panhypopituitarism
4. Pyloric stenosis

Correct answer: 2. Cong, adrenal hyperplasia

Explanation: Congenital adrenal hyperplasia due to defect in CYP21A2 is suggested by episodes of acute adrenal insufficiency with hyponatremia , hyperkalemia , dehydration & vomiting ( Harrison 17 pg 2267)